Postmortem caloricity may be seen in all the following causes of death except :
1. Septicemia
2. Barbiturates poisoning
3. Strychnine poisoning
4. Tetanus

Correct answer: 2. Barbiturates poisoning

Explanation: B i.e. Barbiturate poisoning